In which of the following malignancies histological grade is a good prognostic indicator?
1. Melanoma
2. Soft tissue sarcoma
3. Renal cell carcinoma
4. Lung cancer

Correct answer: 2. Soft tissue sarcoma